The amount of force over neck required to compress & fracture the cricoid cartilage is:-
1. 9 kg
2. 14.3 kg
3. 18.8 kg
4. 30 kg

Correct answer: 3. 18.8 kg

Explanation: The amount of force required to compress neck structures is estimated as Ligature with a tension of 2 kg blocks the jugular return. A ligature with a tension of 5 kg is necessary to occlude the carotid arteries. the force needed to close the trachea was of the order of 15 kg. 15 kg of tension in the ligature around the neck occludes the Jugular vein, Carotid artery and Trachea. Fracture Cricoid cartilage: 18.8 kg force is required. A ligature with a tension of 30 kg is necessary to occlude the vertebral arteries.